Which of the following is not a component of glomerular filtration barrier?
1. Capillary endothelial cell
2. Basement membrane of endothelial and visceral epithelial cells
3. Podocytes with their foot processes
4. Mesangial cells

Correct answer: 4. Mesangial cells

Explanation: Jump to search Mesangial cells are specialised cells in the kidney that make up the mesangium of the glomerulus. Together with the mesangial matrix, they form the vascular pole of the renal corpuscle. Ref: guyton and hall textbook of medical physiology 12 edition page number:464,465,466